Decrease in the normal basophilia of the nuclear chromatin in a necrotic cell is known as:
1. Pyknosis
2. Karyolysis
3. Karyorrhexis
4. Myelin figures

Correct answer: 2. Karyolysis

Explanation: Nuclear changes appear in necrotic cells in one of three patterns, all due to nonspecific breakdown of DNA. The basophilia of the chromatin may fade (karyolysis), a change that presumably reflects loss of DNA because of enzymatic degradation by endonucleases. A second pattern is pyknosis, characterized by nuclear shrinkage and increased basophilia. Here the chromatin condenses into a solid, shrunken basophilic mass. In the third pattern, known as karyorrhexis, the pyknotic nucleus undergoes fragmentation. With the passage of time (a day or two), the nucleus in the necrotic cell totally disappears.Ref: Robbins 8th edition, Chapter 1.